Mandible is derived from ?
1. Meckle's cartilage
2. Ritchers cartilage
3. 4th Pharyngeal pouch
4. 6th Pharyngeal pouch

Correct answer: 1. Meckle's cartilage

Explanation: Ans. is 'a' i.e., Meckle's cartilageEach half of the mandible ossifies from only one centre which appears at about the 6th week of intrauterine life in the mesenchymal sheath of Meckels cartilage near the future mental foramen. Meckle's cartilage is the skeletal element of first pharyngeal arch.